Ilio femoral ligament arise from:
1. Ischial tuberosity
2. Anterior superior iliac spine
3. liopubic rami
4. Anterior inferior iliac spine

Correct answer: 4. Anterior inferior iliac spine

Explanation: D i.e. Anterior inferior iliac spine